All are precanerous except
1. Lichen planus
2. Verrucous carcinoma
3. Submucous fibrosis
4. Leukoplakia

Correct answer: 2. Verrucous carcinoma

Explanation: Verrucous carcinoma is a squamous cell carcinoma, commonly occurring in mucous membrane or muco- cutaneous junction without lymph node spread. It is dry, exophytic, way, indurated growth. It has good prognosis. It is a curable malignancy. Surgery is the treatment--wide excision;No radiotherapy used. Leukoplakia is a white patch in the mucosa of the oral cavity that cannot be characterised clinically or pathologically to any other disease. It is the most common and is a high risk premalignant condition of oral cavity(definite risk of malignant change). Oral submucosal fibrosis is a medium risk premalignant condition of oral cavity(premalignant but not ass/w higher incidence of carcinoma). 4.5-7.6% of oral submucosal fibrosis turns into malignancy.Oral lichen planus is a premalignant lesion of oral cavity with equivocal risk.Reference : page 369 and 370 SRB's manual of surgery 5th edition